Verocytotoxin has been isolated in individual suffering from Hemolytic uraemic syndrome in their
1. Blood
2. Tissues
3. Feces
4. Saliva

Correct answer: 3. Feces

Explanation: Verocytotoxin or SHIGA LIKE TOXIN is produced by Enterohemorrhagic E coli which invades vascular endothelial cell and causes diarrhoea so show the presence of verocytotoxin is confirmed in the specimen of faeces. The toxin is produced by specific strain of ETEC O157 H7